Strawberry vagina is seen in infection with :
1. Trichomonas vaginalis
2. Hemophilus vaginalis
3. Candida
4. Herpes simplex

Correct answer: 1. Trichomonas vaginalis

Explanation: Trichomonas vaginalis